A 3-year-old child presents with recurrent pneumonia, eczema & thrombocytopenia. Which protein synthesis is abnormal in this child?
1. Wasp
2. Hamartin
3. Adenosine deaminase
4. HLA1a

Correct answer: 1. Wasp

Explanation: a. Wasp(Ref: Nelson's 20/e p 1027)Recurrent infections, eczema & thrombocytopenia in a child suggest a diagnosis of Wiskott Aldrich syndrome; In this X-linked recessive syndrome, WASP gene & its product are defective